Which structure can be felt at the lower part of the medial border of stemocleidomastoid:-
1. subclavian artery
2. Common carotid artery
3. Internal mammary artery
4. Maxillary artery

Correct answer: 2. Common carotid artery

Explanation: Ans. is 'b' i.e. Common carotid artery